True about Nissl granulea) Involves in RNA synthesisb) Present in axonc) Present in dendrited) Involves in protein synthesise) Structurally they are endoplasmic reticulum
1. abd
2. cde
3. bde
4. ade

Correct answer: 2. cde

Explanation: Nissl granules are rough endoplasmic reticulum found in dendrites, but absent in axon or axon hillock. They help in protein synthesis.